Malignant hyperthermia is due to
1. Halothane
2. Scoline
3. Isoflurane
4. All of the above

Correct answer: 4. All of the above

Explanation: (D) All of the above # Most common agents causing malignant hyperthrmia:> Succinyl choline> Halothane# Other agents implicated:> F/ura/ies-Sevoflurane; Isoflurane> Amide local anesthetics-Ugnocame> Phenothiazines-- Tricyclic antidepressant; MAOI's> Drug of choice for treatment of malignant hyperthermia is Dantrolene.